Kaolin cephalin clotting time is:
1. Prothrombin Time
2. Activated partial thromboplastin test
3. Cephalin is a surface activator
4. Kaolin is a platelet phospholipid substitute.

Correct answer: 2. Activated partial thromboplastin test

Explanation: Kaolin cephalin clotting time is the older term to describe activated partial thromboplastin test, which is aimed at detecting the function of intrinsic pathway. In Kaolin cephalin clotting test, kaolin is used as a surface activator, it binds directly to Factor XII resulting in surface activation to XIIa. XIIa cleaves Factor XI to XIa. Cephalin is a phospholipid substitute that replaces platelet phospholipid in the test. Ref: Haematology By Martin R. Howard, Peter J. Hamilton, Page 22